First fatty acid to form in fatty acid synthesis:
1. Palmitic acid
2. Stearic acid
3. Oleic acid
4. Pantothenic acid

Correct answer: 1. Palmitic acid

Explanation: Ans. A Palmitic acid* Palmitic acid is the most common fatty acid found in animals, plant and microbes.* Excess carbohydrates and proteins are converted to palmitic acid.* Palmitic acid is the first fatty acid synthesized during fatty acid synthesis.* Note: First step in fatty acid synthesis is transfer of acetate units from mitochondrial acetyl CoA to the cytosol.